The following is true for Mycoplasmas except ?
1. Multiply by binary fission
2. Are sensitive to beta-lactam group of drugs
3. Can grow in cell free media
4. Require sterols for their growth

Correct answer: 2. Are sensitive to beta-lactam group of drugs

Explanation: Ans. is 'b i.e., Are sensitive to beta lactam drugs